A woman receives an organ transplant from her sister who is an identical twin. What type of graft is it?
1. Allograft
2. Autograft
3. Xenograft
4. Isograft

Correct answer: 4. Isograft

Explanation: An Isograft is a graft of tissue between two individuals who are genetically identical (i.e. monozygotic twins). Transplant rejection between two such individuals virtually never occurs Ref : Ananthanarayana textbook of Microbiology 9th edition Pgno : 183